Risk factors for coronary artery disease (CAD)
1. High HDL
2. Low LDL
3. Increased homocysteine levels
4. Decreased fibrinogen levels

Correct answer: 3. Increased homocysteine levels

Explanation: Answer is C Increased homocysteine levels Increased homocysteine levels and increased lipoprotein (a) levels are risk factors for cornonary artery disease Increased risk of coronary artery disease is also associated with: High LDL (not low LDL) Low HDL (not high HDL) Increased Fibrinogen levels (not decreased fibrinogen levels)